The nerve of Kuntz is an important landmark in ?
1. Lumbar sympathectomy
2. Cervicodorsal sympathectomy
3. Obturator neurectomy
4. Splanchnicectomy

Correct answer: 2. Cervicodorsal sympathectomy

Explanation: Ans. is 'b' i.e., Cervicodorsal sympathectomy